You order a wrist X-RAY for a 2 months old child. Which carpal bone are u expecting to be present
1. Capitate
2. Scaphoid
3. Lunate
4. Trapezoid

Correct answer: 1. Capitate

Explanation: At birth, there is no calcification in the carpal bones. Although there is great individual variability, approximate ossification times are as follows. Capitate- 1-3 months Hamate- 2-4 months Triquetrum- 2-3 yrs Lunate- 2-4 yrs Scaphoid- 4-6 yrs Trapezium- 4-6 yrs Trapezoid- 4-6 yrs Pisiform- 8-12 yrs Ref: Nelson's 20th edition, page 3241